A pregnant lady has delivered a baby 35 minutes back. However, placenta has not been delivered. What should be the next line of management.
1. Controlled cord traction
2. Manual removal of placenta
3. Hysterotomy& removal of placenta
4. Administration of tocolytic drug

Correct answer: 2. Manual removal of placenta

Explanation: Ans. is 'b' i.e., Manual removal of placentaManual Extraction:If the placenta has not delivered after 30 minutes, or if separation has occurred, without delivery of the placenta, manual removal may be performed to reduce excessive blood loss. Injection of oxytocin into the umbilical vein is a safe procedure and may prevent the need for manual removal of the placenta in some women. Intrauterine bacterial contamination is a theoretical risk of manual extraction, but is not a common complication.